Which of the following statements concerning glutathione is true?
1. Glutathione Reductase is a selenium-containing enzyme that scavenges free radicals
2. Serves as a vehicle for the transport of amino acids into some cells
3. Peroxidase is used to maintain hemoglobin in the reduced state
4. Is present in most if not all cells in trace quantities

Correct answer: 2. Serves as a vehicle for the transport of amino acids into some cells

Explanation: Glutathione is a tripeptide, 7- glutamylcysteinylglycine, present in high concentration in all cells. The 'y-glutamyl cycle is used by some cells to transport amino acids across the cell membrane. A membrane-associated enzyme, y-glutamyl transpeptidase forms peptide bonds between the glutamyl moiety of glutathione and the amino acid to be transported into the cell. The glutamyl-aniino acid is split off from the cysteinylglycine part of the molecule as both are brought into the cell. The transported amino acid is then split from the glutamyl moiety, depositing the free amino acid on the cytosolic side of the membrane. 5-Oxyproline is produced from the glutamyl moiety, which has to be replaced or resynthesized, as does the glutathione. This process uses 3 adenosine triphosphates (ATPs), but is very active in some tissues, such as the kidney. Glutathione reductase is the enzyme used to protect the red cell from oxidative stress and to reduce methemoglobin. Glutathione peroxidase is the selenium containing enzyme used to scavenge free radicals and peroxides. Glutathione is present in all cells in relatively large amounts, attesting to its importance in metabolism. Glutathione S-transferase is a liver enzyme used in detoxification reactions. It forms a glutathione complex with the compound to be detoxified. There is no such enzyme as glutathione transaminase.